Pacemakers of the GIT are present in all, EXCEPT:
1. Cardiac end of stomach
2. Pyloric end of stomach
3. Small intestine
4. Large intestine

Correct answer: 1. Cardiac end of stomach

Explanation: Pacemakers (interstitial cells of cajal), are mesenchymal cells with smooth muscle like features. They act as pacemaker of gastrointestinal tract by creating basal electrical rhythm which leads to contraction of the smooth muscles. They are absent in esophagus and proximal portion of the stomach. Ref: Ganong's Review of medical physiology, 22nd Edition, Page 480